Glucoronide reaction is seen in
1. Phase 1
2. Phase 2
3. Enzymatic reaction with NADPH
4. Non enzymatic reaction

Correct answer: 2. Phase 2